Superior colliculus is located at:
1. Midbrain
2. Pons
3. Medulla
4. Spinal cord

Correct answer: 1. Midbrain

Explanation: Ans. A. MidbrainThe midbrain is the smallest segment of the brainstem. It is just superior to the pons and contains the nuclei of the 3rd (oculomotor) and 4th (trochlear) cranial nerves. The midbrain is traversed by the cerebral aqueduct. The part dorsal to the aqueduct is called the tectum and consists of four surface elevations--the corpora quadrigemina (comprising two superior and two inferior colliculi).